Which brain tumor has the worst prognosis in children?
1. Cerebellar astrocytoma
2. Brainstem glioma
3. Craniopharyngioma
4. Pineal body tumor

Correct answer: 2. Brainstem glioma

Explanation: Brainstem glioma Aggressive and dangerous cancer Has worst prognosis. Without treatment life expectancy is typically few months from the time of diagnosis.